Melanin is synthesized from :
1. Tyrosine
2. Tryptophan
3. Phenyl alanine
4. Threonine

Correct answer: 1. Tyrosine

Explanation: Synthesis of Melanin Pigment Melanin is synthesized from tyrosine by following pathway. It occurs in melanosomes present in melanocytes of skin and hair Option 2-Tryptophan forms niacin (Vit B3), serotonin and melatonin. Extra Information: Uses of tyrosine: Albinism - Absence of pigment from skin, hair and eyes. Defect is in enzyme Tyrosinase. Patients also have vision defects and photophobia. This is also called oculo-cutaneous albinism. Vitiligo: Lack of melanoblast in some regional areas, but enzyme Tyrosinase is normal.